All of the following are mediators of acute inflammation except -
1. Angiotensin
2. Prostaglandin E2
3. Kallikrein
4. C 3a

Correct answer: 1. Angiotensin

Explanation: . Angiotensin